Palato-print is commonly taken from which part of palate:
1. Anterior part
2. Lateral wall
3. Medial wall
4. Posterior part

Correct answer: 1. Anterior part

Explanation: Ans. Anterior part